Stomatitis areata migrans is:
1. Fissured tongue.
2. Geographic tongue.
3. Median rhomboid glossitis.
4. Aguesia.

Correct answer: 2. Geographic tongue.

Explanation: Erythema migrans:
Synonyms for benign migratory glossitis are:

Geographic tongue.
Wandering rash of tongue.
Glossitis areata exfoliativa.
Erythema migrans.
Stomatitis areata migrans.